A feature of fetal RBC in adult –
1. Alkali denaturation resistant
2. Small in size
3. Has more 2,3 DPG level
4. More iron than adult RBC

Correct answer: 1. Alkali denaturation resistant

Explanation: Features of fetal RBCs

It contains less 2,3 DPG
It is alkali denaturation resistant
It is larger in size than adult RBC → Larger in volume
It contains less iron than adult RBC
Life span is less.